Psychiatric complications of alcohol dependence -a) Anxietyb) Suicidec) Depressiond) Schizophrenia e) Mania
1. ab
2. bc
3. acd
4. abc

Correct answer: 4. abc

Explanation: Psychiatric disorder associated with alcohol :- Anxiety disorders, depression, suicide, antisocial personality disorder, hallucination and paranoid delusions, amnestic syndrome, alcoholic dementia, psychosis, morbid (pathological) jealousy.